True about blood flow in various organs:
1. Liver>Kidney>Brain > Heart
2. Liver > Brain > Kidney > Heart
3. Kidney > Brain > Heart > Liver
4. Liver > Heart > Brain > Kidney

Correct answer: 1. Liver>Kidney>Brain > Heart

Explanation: A i.e. Liver > Kidney > Brain > Heart